Steps of PCR in sequence are ?
1. Extend DNA, Anneal Primers, Denature DNA
2. Anneal Primers, Extend DNA, Denature DNA
3. Denature DNA, Anneal Primers, Extend DNA
4. Denature DNA, Extend DNA, Anneal Primers

Correct answer: 3. Denature DNA, Anneal Primers, Extend DNA

Explanation: PCR - Method of amplifying a target sequence of DNA developed by Karry Mullis in 1984 Essential requirements of a PCR reaction: Targeted DNA Two primers Four deoxyribonucleotide Thermostable DNA polymerase Steps of PCR: 1. Denaturation: Two DNA strands separated (94o C) 2. Annealing: Addition of primers (one for each strand) (60oC) 3. Extension/Elongation: Polymerization or synthesis of DNA. (72oC) These cycles of Denaturation, Annealing, and Extension are repeated again and again to synthesize large amounts of DNA.